The CAP cAMP regulator in Lac operon is known for which of the following functions?
1. Positive regulator
2. Negative regulator
3. Constitutive expression
4. Attenuation

Correct answer: 1. Positive regulator

Explanation: The CAP-cAMP regulator is acting as a positive regulator because its presence is required for gene expression. It functions in turning on the transcription of the structural genes in the operon. Ref:Harper's Illustrated Biochemistry 27thEdition, Page 80 - 384 ; Lippincotts Biochemistry 3rd Edition, Page 418, 419, 420 ; Principles of Genetics, 8th Ed By Gardner, Simmons, Snustad, 2006, Page 22.